Drug not used in Prinzmetal angina is:
1. Propranolol
2. Verapamil
3. Nitrites
4. Isosorbide dinitrate

Correct answer: 1. Propranolol

Explanation: Propranolol